All of the following side effects are produced by Cisplatin except
1. Ototoxicity
2. Nephrotoxicity
3. Coasting effect
4. Pulmonary fibrosis

Correct answer: 4. Pulmonary fibrosis

Explanation: Cisplatin can cause ototoxicity, nephrotoxicity, coasting effect (peripheral neuropathy) and severe nausea and vomiting.
Pulmonary fibrosis is seen with Bleomycin and Busulfan.